Occlusal offset in an anterior partial veneer crown may generally be necessary to provide:
1. Retention
2. Conservation of tooth structure
3. Esthetics
4. Structural durability

Correct answer: 4. Structural durability